1-3 beta-D-glucanassay for fungi is not used for?
1. Aspergillus species
2. Candida species
3. Cryptococcus species
4. Pneumocystis jirovecii

Correct answer: 3. Cryptococcus species

Explanation: Ans. (c) Cryptococcus s(j. journal of ,\\,11crobiology 2013 Nov. 3478-3484 13-D-glucan is the component of fungal cell-wall of all fungus (except cryptococcus, zygomycetes and blastomyces dermatidis) which is detectable in case of invasive infection. Currently Fungitell assay is a FDA approved 13-DG assay which is positive in invasive candidiasis, Aspergillism and pneumocystis jirovecii. False positive reaction may be seen with certain hemodialysis filters, beta lactam antimicrobials and immunoglobulins